Absolute contraindication of conservative breast cancer therapy isa) Large pendulous breastb) History of previous radiationc) Axillary node involvementd) Subareolar lump presente) 1
st
 trimester pregnancy
1. be
2. ad
3. bc
4. ce

Correct answer: 1. be